Worst prognosis among all the breast cancer is
1. Mucinous carcinoma
2. Triple negative breast carcinoma
3. Inflammatory breast carcinoma
4. Medullary breast carcinoma

Correct answer: 3. Inflammatory breast carcinoma

Explanation: Inflammatory breast carcinoma, stage T4d has the worst prognosis.